Nerve to which of the following extraocular muscle gives rise to a branch of ciliary ganglion:
1. Superior rectus
2. Inferior oblique
3. Rectus medialis
4. Rectus lateralis

Correct answer: 2. Inferior oblique

Explanation: Ciliary ganglion is a parasympathetic ganglion located near the apex of the orbit between the optic nerve and lateral rectus. It has three roots parasympathetic or motor, sympathetic and sensory roots. The motor root arises from the nerve to inferior oblique, sympathetic root arises from the nasociliary nerve and sympathetic root is a branch from the internal carotid plexus. Ref: Human Anatomy by B.D Chaurasia, 4th Edition, Vol 3, Page 114.